Which of the following drug can cause thyroid dysfunction ?
1. Amiodarone
2. Ampicillin
3. Ibutilide
4. Acyclovir

Correct answer: 1. Amiodarone